As per Anderson and D'Alonzo classification the most dangerous type of odontoid fracture is
1. Type I
2. Type II
3. Type III
4. Type IV

Correct answer: 2. Type II

Explanation: Anderson and D'Alonzo classification for odontoid fracture 
Type I : Avulsion of tip .
Type II : Fracture at junction of odontoid process and axis.
Type III : Fracture through the body of axis.
Treatment according to classification 
Type I : Conservatively
Type II : Most dangerous type, treated with screw fixation
Type III : Conservatively